Lithogenic bile has the following properties:
1. Increased bile and cholesterol ratio
2. Decreased bile and cholesterol ratio
3. Equal bile and cholesterol ratio
4. Decreased cholesterol only

Correct answer: 2. Decreased bile and cholesterol ratio

Explanation: Bile salts and phospholipids in bile keep cholesterol in solution by the formation of micelles. An excess of cholesterol relative to bile salts and phospholipids allow cholesterol to form crystals and such bile is called lithogenic or supersaturated bile. Ref: Harrison 17/e, Page 1991; Maingot's 10/e, Page 1718